Which one of the following drugs does not interfere with folic acid metabolism?
1. Phenytoin
2. Gabapentin
3. Phenobarbitone
4. Primidone

Correct answer: 2. Gabapentin

Explanation: Ans. is 'b' i.e., Gabapentin Antiepileptics interfering with folic acid metabolism. 1. Phenytoin 2. Phenobarbitone 3. Primidone